Inferior tympanic artery is a branch of which of the following?
1. Posterior occipital artery
2. Posterior auricular artery
3. Ascending pharyngeal artery
4. Middle meningeal artery

Correct answer: 3. Ascending pharyngeal artery

Explanation: Ref: Gray's Anatomy, 39th edition, 2008, Page 546Explanation:Inferior tympanic artery is a small branch from ascending pharyngeal artery.Ascending pharyngeal artery is a branch of External carotid artery.It passes through tympanic canaliculus along with tympanic branch of glossopharyngeal nerve.It supplies medial wall of middle ear.ALSO NOTEArteries of middle ear: (6 arteries)Anterior tympanic artery-branch of 1st part of maxillary artery (enters through petrotympanic fissure).Posterior tympanic artery-branch of stylomastoid artery (enters through posterior canaliculus for chorda tympani nerve).Superior tympanic artery-branch of middle meningeal artery (enters through canal for tensor tympani muscle).Inferior tympanic artery (see above explanation).Petrosal branch of middle meningeal artery (enters through hiatus for greater superficial petrosal nerve).Tympanic branches of internal carotid artery (enters by piercing the wall of carotid canal).Branches of External Carotid ArteryFrom inferior to superior, the artery supplies.Arising in carotid triangle o Superior thyroid artery.o Ascending pharyngeal arteryo Lingual arteryo Facial arteryo Occipital artery.Posterior auricular artery.Terminal branches o Maxillary artery.o Superficial temporal artery.